Mental health Act was passed in the year:
1. 1948
2. 1967
3. 1987
4. 2007

Correct answer: 3. 1987

Explanation: Ans. 1987